Calcium channel blockers with predominant peripheral effects is:
1. Verapamil
2. Diltiazem
3. Amlodipine
4. None of these

Correct answer: 3. Amlodipine